Which of the following is the least likely cause of necrotizing papillitis of kidney?
1. Sickle cell disease
2. Tuberculous pyelonephritis
3. Diabetes mellitus
4. Analgesic nephropathy

Correct answer: 2. Tuberculous pyelonephritis

Explanation: Necrotizing papillitis/ Renal papillary necrosis. When infection of renal pyramids develop in association with vascular diseases of the kidney or with urinary tract obstruction. DM is the commonest cause TB is the rarest cause of papillary necrosis. Acute papillary necrosis: Diabetes mellitus Sickle cell disease Chronic alcoholism Vascular disease Analgesic abuse nephropathy